Specimens for toxicological studies is preserved in:
1. 10% of formaldehyde
2. Alcohol
3. Supersaturated solution of common salt
4. Normal saline

Correct answer: 3. Supersaturated solution of common salt

Explanation: C i.e. Supersaturated solution of salt